Denominator in general fertility rate is -
1. All women between 15-45 year age
2. All married women between 15-45 year age
3. Total number of live births
4. Total number of all births

Correct answer: 1. All women between 15-45 year age

Explanation: Ans. is 'a' i.e., Ail women between 15-45 yr age Birth Rate =(No. of live birth during the yr/mid yr population) x 1000Crude Death Rate =(No.of deaths during the yr/mid yr population) x 1000General Fertility Rate =(No. of live birth during the yr/mid yr female population age 15-44) x 1000General Marital Fertility Rate =(No. of live births during the yr/mid yr married female population) x 1000Case Fatality Rate =(No of deaths due to a ds/no of cases due to the same ds) x 100Maternal Mortality Rate =(Total no. of female deaths d/t complication of pregnancy, child birth or within 42 days of delivery from puerperal causes'1' total no. of live birth) x 1000Still birth rate =(Foetal deaths weighing over l000gm i.e equivalent to 28 wks of gestation)/ (total live birth + still births over 1000 gms) x 1000)Perinatal Mortality Rate =(Foetal deaths weighing over 1000 gms i.e 28 wks gestation or more + early neonatal death within 7 days of birth), (to/a/ no. of live birth) x 1000Infant Mortality Rate =(No. of deaths of infants/no. of live births) x 1000Neonatal Mortality Rate =(No. of deaths of neonate/No. of live births) x 1000Under 5 mortality rate or child(No. of deaths of children less than 5 yrs of age in a given year/no. of live mortality rate = birth) x 10001-4 year mortality rate =(No. of deaths of children aged 1-4 yrs during a year,' total no, of children aged 1-4 yrs at the middle of the year) x 1000